Which of the following situations will lead to increased viscosity of blood?
1. Fasting state
2. Hypoglycemia
3. Multiple myeloma
4. Amyloidogenesi

Correct answer: 3. Multiple myeloma

Explanation: Multiple myeloma is assosiated with increased level of Bence Jones proteins and myeloma globulin due to their abnormal formation in the bone marrow Increase in conc: protein increase viscosity of the blood Hyperviscosity syndrome- clinically represent a triad --mucosal bleeding, visual changes,neurological symptoms. Constitutional and cardiovascupar symptoms are also seen . Ref: Medical Physiology Indu Khurana 2015 edition page No: 99